Seen in vernal catarrh are:
1. Papillary hypertrophy
2. Follicles
3. Pannus formation
4. All

Correct answer: 1. Papillary hypertrophy

Explanation: A i.e. Papillary hypertrophy